Among the following, which one is not good dietary source of iron -
1. Liver
2. Jaggery
3. Fish
4. Milk

Correct answer: 4. Milk

Explanation: Haem iron is present in liver, meat, poultry, and fish. Non haem iron is present in green leafy vegetable,jaggery and dry fruit. REF. PARK'S TEXTBOOK OF PREVENTIVE AND SOCIAL MEDICAL 21ST EDITION. PAGE NO - 623